Plasma is the fluid portion of the blood which aids in the transport of other substances in the body. Total plasma volume in relation with body weight is:
1. 5%
2. 10%
3. 20%
4. 25%

Correct answer: 1. 5%

Explanation: Normal plasma volume is about 5% of body weight, or roughly 3500 mL in a 70-kg man. Plasma clots on standing, remaining fluid only if an anticoagulant is added. The plasma proteins consist of albumin, globulin, and fibrinogen fractions. These proteins therefore exert an osmotic force of about 25 mm Hg across the capillary wall that pulls water into the blood. The plasma proteins are also responsible for 15% of the buffering capacity of the blood. Ref: Barrett K.E., Barman S.M., Boitano S., Brooks H.L. (2012). Chapter 31. Blood as a Circulatory Fluid & the Dynamics of Blood & Lymph Flow. In K.E. Barrett, S.M. Barman, S. Boitano, H.L. Brooks (Eds), Ganong's Review of Medical Physiology, 24e.